Which of the following is not antioxidant ?
1. Micronutrients like Iron
2. Vitamins like C and E
3. Enzymes like glutathione peroxidase, superoxide dismutase
4. Transport proteins like transferrin, Ceruloplasmin

Correct answer: 1. Micronutrients like Iron

Explanation: Transition metals like Iron and Copper generate free radicals and increase oxidative stress.